True regarding gestational trophoblastic neoplasia are all except:
1. 13HCG is highly elevated in both the forms of molar pregnancy
2. Classical symptoms are only seen with complete moles
3. The genotype is 46XX in majority of complete moles
4. The genotypes is 69XXY in majority of incomplete moles

Correct answer: 1. 13HCG is highly elevated in both the forms of molar pregnancy

Explanation: Ans. A: 13HCG is highly elevated in both the forms of molar pregnancy Molar pregnancy is characterized by the presence of a hydatidiform mole (or hydatid mole, mola hydatidosa. Molar pregnancies are categorized into partial and complete moles. Complete moles have no identifiable embryonic or fetal tissues and arise when an empty egg with no nucleus is fertilized by one (or occasionally two) normal sperm; the genotype is typically 46,XX but can also be 46,XY or 23,X. In contrast, a partial mole occurs when a normal egg is fertilized by two (or occasionally three) spermatozoa, and the genotypes can be 69, XXY or 92, XXXY. Difference between complete mole and partial mole: Fetus is absent in complete mole while present in partial mole Trophoblast hyperplasia is diffuse in complete moles while focal in partial mole Uterine size is more than date in complete mole while less than date in partial mole Beta hCG is high in complete mole while only slightly elevated in partial mole Classical symptoms are common in complete mole only.